Alcohol withdrawal is not associated with?
1. Seizure
2. Amnesia
3. Tremers
4. Delirium

Correct answer: 2. Amnesia

Explanation: Ans. is 'b' i.e., Amnesia * Amnesia occurs during acute intoxication (not during withdrawal).Alcohol withdrawal symptoms* The most common symptom is hangover on the next morning.* Other common symptoms are fine tremer, nausea, vomiting, weakness, insomnia, anxiety, restlessness, irritability.* Three severe withdrawal syndrome are delerium tremens, Alcoholic hallucinosis, and alcoholic seizure (rum fits). They require special mention.1. Delirium tremens# Delirium tremens is the most severe alcohol withdrawal syndrome. It occurs usually within 2-4 days of complete or significant alcohol abstinence. This is an acute organic brain syndrome (delirium) with characteristic features of delirium. It is characterized by:-a) Clouding of consciousness with disorientation in time and place.b) Poor attention span and distractability.c) Visual (and also auditory) hallucination, and illusion. Tactile hallucination of insect crawling under the skin (formication) may also occur.d) Marked autonomic disturbances with tachycardia, sweating, hypertension, mydriasis, coarse tremers.e) Insomnia, psychomotor agitation, ataxia, anxiety.# Benzodiazepines are the drugs of choice for delirium tremens. Chlordiazepoxide is the agent of choice with diazepam as an alternative.2. Alcoholic seizures (rum fits)# Generalized tonic clonic seizures occur, usually 12-48 hours after a heavy bouts of drinking. Benzodiazepines are the drugs of choice for alcoholic seizures.3. Alcoholic hallucinosis# Alcoholic hallucinosis is characterized by the presence of hallucinations (usually auditory) classically in the presence of clear consciousness alcoholic hallucinosis develops within 12-24 hours after drinking stops